Samter's triad include sensitivity to which drug?
1. Ibuprofen
2. Indomethacin
3. Aspirin
4. Ketorolac

Correct answer: 3. Aspirin

Explanation: Samster's triad : Nasal polyp Bronchial asthma Asprin sensitivity Ref: Dhingra 7e pg 510.